All the following are immune complex glomerulonephritis EXCEPT:
1. Acute infectious glomerulonephritis
2. Membranous glomerulonephritis
3. SLE
4. Good pasture's disease (RPGN)

Correct answer: 4. Good pasture's disease (RPGN)

Explanation: Ans. d. Good pasture's disease (RPGN). (Ref. Harrison's 16th/pg. 1676; Table 264-1; Robbin's 8th /Table 14-3.)MECHANISM OF INJURYSOME RENAL INSULTS/DEFECTSGLOMERULAR DISEASEImmunologicPersistent complement activationMembranoproliferative glomerulonephritis (type II) ImmunoglobulinImmune complex-mediated glomerulonephritis Cell mediated injuryPauci-immune glomerulonephritis Cytokine (or other soluble factor)Primary focal segmental glomerulosclerosisMetabolicHyperglycemiaDiabetic nephropathy Fabry's disease and sialidosisFocal segmental glomerulosclerosisHemodynamicSystemic hypertensionHypertensive nephrosclerosis Intraglomerular hypertensionSecondary focal segmental glomerulosclerosisToxicE.coli - derived verotoxinThrombotic microangiopathy Therapeutic drugs (e.g., NSAIDs)Minimal change disease Recreational drugs (Heroin)Focal segmental glomerulosclerosisDepositionAmyloid fibrilsAmyloid nephropathyInfectionsHIVHIV nephropathy Subacute bacterial endocarditisImmune complex glomerulonephritisInheritedDefect in gene for a 5 chain of type IV collagenAlport's syndromeCRESCENTIC GLOMERULONEPHRITIS# Type I (Anti-GBM Antibody)- Idiopathic- Goodpasture syndrome# Type II (Immune Complex)- Idiopathic- Postinfectious/infection related- Systemic lupus erythematosus- Henoch-Schonlein purpura/IgA nephropathy# Type III (Pauci-Immune) ANC A Associated- Idiopathic- Wegener granulomatosis- Microscopic angiitis